Regarding newer formulations of amphotericin B, which of the following statements is accurate?
1. Amphotericin B colloidal dispersion cause less infusion related reactions than conventional amphotericin B.
2. They are more effective in fungal infections than conventional preparations because they increase tissue uptake of amphotericin B
3. They have decreased systemic toxicity
4. They have wider spectrum of antifungal activity than conventional formulations of amphotericin B

Correct answer: 3. They have decreased systemic toxicity

Explanation: NEWER FORMULATIONS OF AM-B : (Has Decreased systemic toxicity) AMPHOTERICIN B COLLOID DISPERSION (ABCD) - MAX INFUSION RELATED REACTION AMPHOTERICIN B LIPID COMPLEX (ABLC) LIPOSOMAL AMPHOTERICIN B (USED FOR T/T OF KALA AZAR) -MINIMUMINFUSION RELATED REACTION * Lesser uptake in the tissues like kidney * More expensive * Similar in efficacy and antifungal spectrum as conventional preparations AMPHOTERICIN B (CONVENTIONAL) Usually given in slow iv infusion Very well distributed all over the body and poorly distributed in CN